The ligaments connecting the menisci to the tibia are known as:
1. Coronary
2. Arcuate
3. Transverse
4. Oblique

Correct answer: 1. Coronary

Explanation: Ans. a. Coronary